FDA indications of inhaled NO is?
1. Malignant hypertension
2. Pulmonary hypertension in newborn
3. Cyanotic CHD
4. None of the above

Correct answer: 2. Pulmonary hypertension in newborn

Explanation: Ans. is 'b' i.e., Pulmonary hypertension in newborn According to Goodman Oilman "Inhaled nitric oxide has been approved by FDA for use in newborns with persistent pulmonary hypertension and has become the first line therapy for this disease. In this disease state NO inhalation has been shown to reduce, significantly, the necessity for extracorporeal oxygenation"